Pine - tree bladder is a sign of
1. Pelvic abscess
2. Neurogenic bladder
3. Bilharziasis
4. Intro peritoneal bladder rupture

Correct answer: 2. Neurogenic bladder